Which of the following is/are the source/sources of H2S in the environment?
1. Coral pits & Sewers
2. Sewers
3. Coral pits & volcanic eruptions
4. Coral pits, Sewers & Volcanic eruptions

Correct answer: 4. Coral pits, Sewers & Volcanic eruptions

Explanation: H2S is formed during coke production, viscose rayon production, wastewater treatment plants, wood pulp production using the sulphate method, extraction process, oil refining and in the tanning industry. Park's Textbook of Preventive and Social Medicine, 25th Edition, Pg 794